Failure of closure of posterior neupore causes?
1. Anencephally
2. Spina bifida
3. Gastroschisis
4. Omphalocele

Correct answer: 2. Spina bifida

Explanation: Caudal or posterior neuropore closes by 28th day of intrauterine life Failure of closure leads to spina bifida